A patient suffering from syphilis is given penicillin. He may develop
1. Cholestatic Jaundice
2. Grey syndrome
3. Fanconi Syndrome
4. Jarish — Herxheimer reaction

Correct answer: 4. Jarish — Herxheimer reaction